In the perspective of the busy life schedule in the modem society, the accepted minimum period of sexual cohabitation resulting in no offspring for a couple to be declared infertile is:
1. One year
2. One and a half-year
3. Two years
4. Three year

Correct answer: 1. One year

Explanation: Ans. is 'a' i.e., One year If a couple fails to achieve pregnancy after one year of "unprotected' and regular intercourse, it is an indication to investigate the couple